Muscle most commonly affected by congenital absence is?
1. Pectoralis major
2. Semi membranosus
3. Teres minor
4. Gluteus maximus

Correct answer: 1. Pectoralis major

Explanation: Pectoralis major and minor muscles are the most common congenitally absent muscles in humans. Ref: Ultrasound of the Musculoskeletal System, 2007, Pages 51, 285; Principles of Neurology By Allan H. Ropper, Raymond Delacy Adams, Maurice Victor, Robert H. Brown, Page 1245; Clinical Pediatric Urology By A. Barry Belman, Lowell R. King, Stephen Alan Kramer, Page 947